Which is not a feature of suicidal cut throat wound
1. Ragged edges
2. Hesitation cuts
3. Tailing
4. Defence wounds

Correct answer: 4. Defence wounds

Explanation: Defence wounds is a feature of homicidal wounds Suicidal cut throat wounds Usually starts from left side of neck, above downwards, ragged edges, may be multiple Hesitation cuts, tailing, cadaveric spasm with weapon may be present on hand